Which of the following is a primary fructose transporter?
1. GLUT-1
2. GLUT-3
3. GLUT-5
4. GLUT-4

Correct answer: 3. GLUT-5

Explanation: GLUT-5 is primarily Fructose transporter. It is located on small intestine, Testis, Sperm.